Muscle(s) supplied by Facial nerve is/are:
1. Stapedius
2. Stylohoid
3. Risorius
4. All

Correct answer: 4. All

Explanation: A i.e. Stapedius; C i.e. Risorius; B i.e Stylohoid